Which of the following is not required during determination of path of placement and removal:
1. Retentive areas
2. Esthetics
3. Interference
4. Remaining teeth

Correct answer: 4. Remaining teeth